Seibert’s class IV defect is
1. Faciolingual loss of tissues with normal ridge height
2. Normal ridge width with loss of ridge height
3. Loss of height and width
4. None of the above

Correct answer: 4. None of the above

Explanation: Seibert’s  Classification
Class 0 defects- no defect
Class I defects- faciolingual loss of tissue width with normal ridge height.  
Class II defects- loss of ridge height with normal ridge width.
Class III defects- a combination of loss in both dimensions.